Which one of the following is not sensitive to chemo- therapy in advanced stage?
1. Pancreatic carcinoma
2. Ewing's carcinoma
3. Wilm's tumor
4. Ovarian carcinoma

Correct answer: 1. Pancreatic carcinoma

Explanation: (A) Pancreatic carcinoma # Surgery is the Treatment of Choice in:> Lower esophageal CA, CA stomach, CA colon, CA pancreas, hepatocellular CA.> Radiotherapy is the Treatment of Choice in:> CA. s of oral cavity, lip, tongue, cheek, nasopharynx, oropharynx, hypopharynx, larynx nasal cavity, skin (except melanoma), cervix, seminoma testis, early hodgkin's disease, medulloblastoma (after surgical debulking).> Chemotherapy is the Treatment of Choice in: Acute & chronic leukemias, Advanced Hodgkin's disease, Advanced NHL, Testicular teratoma, Choriocarcinoma, Small cell lung cancer, Neuroblastoma.> Malignancies curable with Chemotherapy 70-90% cure rate. Testicular teratoma or seminoma, Choriocarcinoma (in women), Hodgkin's disease, Wilms' tumour; embryonal rhabdomyosarcoma 40-60% cure rate: Childhood acute lymphoblastic leukaemia, Burkitt's lymphoma (endemic variety), Ewing's sarcoma.> 20-30% cure rate: Non-Hodgkin's lymphoma (diffuse large-cell), Adult acute lymphoblastic leukaemia < 5% cure rate: acute myeloblastic leukaemia> Malignancies responsive to ChemotherapyLow-grade lymphomas; myeloma; chronic leukaemias Breast cancer; Ovarian cancer; Small-cell lung cancer.